The frontal TMJ projection is called as:
1. Transcranial projection
2. McQueen Dell technique
3. Zimmer projection
4. Infracranial projection

Correct answer: 3. Zimmer projection

Explanation: The frontal TMJ projection that shows medial displacement of fracture of condyle and fracture of neck of condyle is called transorbital or Zimmer's projection.